A patient aged 50 years presented with a history of jaw expansion and enlargement of maxilla
1. Paget's disease
2. Acromegaly
3. Fibrous dysplasia
4. Hyperparathyroidism

Correct answer: 1. Paget's disease